Band not covered by actin filament is?
1. H band
2. I band
3. M band
4. Z band

Correct answer: 1. H band

Explanation: ANSWER: (A) H bandREF: Ganong's 22nd ed* The area between two adjacent Z lines is called a sarcomereThe thick filaments, which are about twice the diameter of the thin filaments, are made up of myosin; the thin filaments are made up of actin, tropomyosin and troponinThe thick filaments are lined up to form the A bands, whereas the array of thin filaments forms the less dense I bandsThe lighter H bands in the center of the A bands are the regions where, when the muscle is relaxed, the thin filaments do not overlap the thick filamentsThe Z lines transect the fibrils and connect to the thin filaments. If a transverse section through the A band is examined under the electron microscope, each thick filament is seen to be surrounded by six thin filaments in a regular hexagonal pattern.